Receptor for absorption of Vit-B12 intrinsic factor complex is located in
1. Ileum
2. Duodenum
3. Transverse colon
4. Descending colon

Correct answer: 1. Ileum

Explanation: For the absorption of Vit B12, it has to form a complex with Intrinsic factor. This complex has a receptor on the epithelial cell surface of ileum. Once attached, the complex is absorbed.